An 8-year-old girl is brought into the physician's office in mild respiratory distress. She has a history of allergies to cats and wool, and her parents state that she has recurrent episodes of upper respiratory tract infections. Physical examination shows expiratory wheezes, use of accessory respiratory muscles and a hyperresonant chest to percussion. Analysis of arterial blood gases discloses respiratory alkalosis and theperipheral eosinophil count is increased. What is the appropriate diagnosis?
1. Acute bronchiolitis
2. Asthma
3. Cystic fibrosis
4. Usual interstitial pneumonia

Correct answer: 2. Asthma

Explanation: Asthma is a chronic lung disease caused by increased responsiveness ( inflammatory reaction) of the airways to a variety of stimuli either extrinsic (e.g., pollen) or intrinsic (e.g., exercise). Extrinsic asthma is typically a childhood disease, whereas intrinsic asthma usually begins in adults. Patients typically have paroxysms of wheezing, dyspnea and cough. Bronchial biopsy of asthmatic patient showing sub-basement membrane fibrosis, eosinophilic inflammation, and smoothmuscle hyperplasia